Tamoxifene ?
1. SSRI
2. SERM
3. SNRI
4. DNRI

Correct answer: 2. SERM

Explanation: Ans. is `b' i.e., SERM Tamoxifen is a selective estrogen receptor modulator (SERM).